About Ramelteon, which of the following is not true?
1. MT1 and MT2 receptor antagonist
2. Metabolized by Cytochrome p450
3. No significant addictive potential
4. Useful in long-term treatment of insomnia

Correct answer: 1. MT1 and MT2 receptor antagonist

Explanation: Ramelteon is melatonin receptor agonist, rapidly absorbed and undergoes extensive first-pass metabolism. Ramelteon is a melatonin receptor agonist with both high affinity for melatonin MT1 and MT2 receptors and selec vity over the MT3 receptor.